Which one of the following soft tissue sarcomas frequently metastasizes to lymph nodes
1. Fibrosarcoma
2. Osteosarcoma
3. Embryonal Rhabdomysarcoma
4. Alveolar soft part sarcoma

Correct answer: 3. Embryonal Rhabdomysarcoma

Explanation: The types of sarcoma with the highest incidence of lymph node metastasis are angiosarcoma, embryonal rhabdomyosarcoma, and epithelioid sarcoma. Other sarcomas which also spread to lymph nodes are synovial sarcoma, Ewing's sarcoma, lymphangiosarcoma, carcinosarcoma of uterus. Reference : page 311 SRB's manual of surgery 5th edition